Interferon gamma is used for treatment of -
1. HBV
2. HCV
3. Osteopetrosis
4. Both HBV and HCV

Correct answer: 3. Osteopetrosis

Explanation: Ans. is 'c' i.e., Osteopetrosis o Interferon alfa-2b and alfa-2a are used in --> chronic hepatitis B and C, and in some malignancies. o Interferon beta-la is used in multiple sclerosis. o Interferon gamma-lb is used in chronic granulomatous disease and osteopetrosis.